A child with decreased levels of LH, FSH and Testosterone presents with delayed puberty. Which of the following is the most likely diagnosis –
1. Klinfelter's syndrome
2. Kallman's syndrome
3. Androgen Insensitive syndrome
4. Testicular Infection

Correct answer: 2. Kallman's syndrome

Explanation: Kallman's syndrome is an X-linked disorder characterized by a deficiency of GnRH with a resultant decrease in FSH and LH levels producing an isolated Hypogonadotrophic Hypogonadism Kallman's syndrome may be seen in both men and women but is more common in men. It is typically also associated with agenesis or hypoplasia of the olfactory bulb producing anosmia or hyposmia.